Which of the following antiparkinson drug can be given as transdermal patch
1. Oxybutynin
2. Selegiline
3. Ropinirole
4. Amantidine

Correct answer: 2. Selegiline

Explanation: Selegiline is a MAO -B inhibitor used in Parkinsonism which can be given as transdermal patch.